Each of the following conditions may produce visual field defects similar to those seen in glaucoma except
1. Chronic papilledema
2. Optic disc drusen
3. AION
4. Occipital infarction

Correct answer: 4. Occipital infarction

Explanation: Occipital infarction presents with macular sparing and can not presents with above mentioned field defects. The rest 3 option can closely mimic the glaucomatous field defects as they closely involve the optic disc similar to glaucoma.